Retrocardiac lucency with air fluid level is seen in
1. Hiatus hernia
2. Distal end esophageal obstruction
3. Eventration of diaphragm
4. Zenker's diverticulum

Correct answer: 1. Hiatus hernia